Which of the following condition is associated with Cutis anserina?
1. Drowning
2. Suffocation
3. Lust murder
4. Electrocution

Correct answer: 1. Drowning

Explanation: Cutis anserina is a postmortem skin finding in drowning. In this the skin appears like an orange peel. This is due to the rigor mortis of the erector pilorum muscles of hair follicles in the skin and subcutaneous tissues. Another postmortem skin finding of drowning is postmortem lividity, which is seen on the dependent parts of the body. It solely depends on the position in which body is floating. Common findings of drowning found in the hand are cadaveric spasm and washerwoman's hands. Ref: Textbook of Forensic Medicine and Toxicology By Jaypee Brothers, Medical Publishers, Rao, page 174.